About Hepatitis 'A' true is -
1. Causes mild illness in children
2. 3% incidence of carrier state
3. 10% transform into HCC
4. Vertical transmission never seen

Correct answer: 1. Causes mild illness in children

Explanation: Type A hepatitis is a subacute disease of global distribution, affect mainly children and young adults. The disease is milder in children in whom many infections may be antiicteric. REF:ANATHANARAYAN AND PANIKER'S TEXTBOOK OF MICROBIOLOGY 9TH EDITION PAGE NO:541